Guillain-Barre syndrome is characterized by the presence of the following except -
1. Quadriparesis
2. Depressed/absent deep tendon jerks
3. Objective evidence of sensory loss
4. Albumino-cytological dissociation in CSF

Correct answer: 3. Objective evidence of sensory loss